Attempts to straighten out a flexed thigh cause great pain in a patient with appendici tis. This is due to the position of the appendix near which muscle?
1. Adductor magnus
2. Biceps femoris
3. Gluteus maximus
4. Psoas major

Correct answer: 4. Psoas major